On barium swallow which of the following will cause posterior impression:
1. Left atrium
2. Aortic knuckle
3. Pulmonary sling
4. Aberrant right subclavian artery

Correct answer: 4. Aberrant right subclavian artery

Explanation: Aberrant right subclavian artery Grainger writes? "Congenital vascular lesions rarely cause oesophageal symptoms and are often demonstrated as a chance .finding. These include the impressions caused by aberrant right subclavian arteries and right-sided aortic arches. The former produces the classic appearance of a posterior impression on the proximal oesophagus, which on the AP view gives a band-like impression as the k'essel ascends posterior to the oesophagus." Aberrant right subclavian artery is a common embryologic abnormality of the aortic arch The aberrant artery arises just distal to the left subclavian artery and crosses in the posterior part of the mediastinum usually behind the esophagus on its way to the right upper extremity. Such course of this aberrant vessel may cause a vascular ring around the trachea and esophaugus. Dysphagia due to an aberrant right subclavian artery is termed dysphagia lusoria. Palsy of the recurrent laryngeal nerve is termed Ortner's syndrome. Pulmonary artery sling causes anterior indentation of esophagus Pulmonary artery sling is created by anomalous origin of the left pulmonary artery from the posterior aspect of the right pulmonary The anomalous left pulmonary artery courses over the right mainstem bronchus and then from right to left, posterior to the trachea or carina and anterior to the esophagus, to reach the hilum of the left lung. This compresses the lower trachea and right mainstem bronchus, producing upper airway symptoms.